Following are screening methods except
1. FNAC
2. Mammography
3. Breast self examination
4. Thermography

Correct answer: 1. FNAC

Explanation: Ans) a (FNAC) Ref park 20th ed p 336Screening methods for breast cancer include breast self examination, palpation by a physician, thermography and mammography. USG is not a screening method.